Pleomorphic adenoma has?
1. Columnar cells enclosing lymphoid stroma
2. Exclusively myoepithelial cells
3. Epithelial cells in chondroid matrix
4. Nests of squamous cells & vacuolated cells containing mucin

Correct answer: 3. Epithelial cells in chondroid matrix

Explanation: Mixed tumour of salivary gland (pleomorphic adenoma) is derived from a single clone (either myoepithelial or ductal reserve cell) and giving rise to two components, namely epithelial and myoepithelial (stromal elements) cells Pleomorphic adenoma: Encapsulated but pseudopodia (fingerlike projections) into the surrounding gland.